About Ovary
1. It is attached to the posterior layer of the broad ligament by mesovarium
2. Has hilus cells in the cortex
3. Ovarian veins drain into internal iliac veins
4. Is connected to the uterus by infundibulopelvic ligament

Correct answer: 1. It is attached to the posterior layer of the broad ligament by mesovarium

Explanation: The ovary is attached to Posterior layer of broad ligament by mesovarium To the lateral pelvic wall by infundibulopelvic ligament Uterus by ovarian ligament Ovarian arteries are direct branches of abdominal aorta Ovarian veins drain into Right side drains into inferior vena cava Left side drains into left renal vein Histology of Ovary Surface Epithelium: Single layer of flattened cuboidal to low columnar epithelium that is continuous with the peritoneum at the mesovarium Cortex: Composed of specialized stroma and follicles in various stages of development or attrition Medulla: Small portion of ovary in its hilar region and is composed primarily of fibromuscular tissue and blood vessels Few hilar cells homologues to interstitial cells of testes are present in medulla and may rarely cause hilar cell tumour of the ovary